Dimorphic fungi are all except:
1. Coccidiodomycosis
2. Blastomycosis
3. Candida
4. Histoplasma

Correct answer: 3. Candida